The antibiotic of choice of pertussis is –
1. Ampicillin
2. Gentamicin
3. Erythromycin
4. Penicillin

Correct answer: 3. Erythromycin

Explanation: Treatment of pertussis

DOC → Macrolides (Erythromycin, Azithromycin, Clarithromycin)
Alternative → Cotrimoxazole